In the perspective of the busy life schedule in the modern society, the accepted minimum period of sexual cohabitation resulting in no offspring for a couple to be declared infertile is:
1. One year
2. One and a half-year
3. Two years
4. Three year

Correct answer: 1. One year

Explanation: 90% of couple who are cohabiting for at least one year with out contraception will have a conception. This is on monthly conception rates of 20 - 25 % in normal young couples attempting pregnancy.